Mallet finger is
1. Avulsion injury to terminal phalanx due to sudden pull on extensor tendon
2. Comminuted fracture of terminal phalanx
3. Fracture dislocation of the tip of terminal phalanx
4. None

Correct answer: 1. Avulsion injury to terminal phalanx due to sudden pull on extensor tendon

Explanation: Ans. a (Avulsion injury to terminal phalanx due to sudden pull on extensor tendon). (Ref. Orthopedics by Adams, 12th/278)PATHOLOGYDEFINITIONMallet's FingerOccurs when the terminal slip of extensor tendon to the distal phalanx is avulsed or it has pulled off a fragment of bone (its insertion) from the dorsal aspect of the base of the distal phalanx.Trigger Finger (Stenosing Tenosynovitis)Inflammation of the flexor tendons as they cross the MCP head in the palm.Snapping finger or thumb.The most common repetitive strain injury of the hand.Due to repetitive gripping/ grasping.+Kanavels sign- passive extension of the finger at DIP causes pain.Jersey FingerTear of flexor tendon (FDP) that attaches to volar base of distal phalanx.Finger often catches on a jersey or belt, forcing the finger to extend backwards.Jammed FingerTrauma induced PIP joint swelling >6-8wks.Non radiographic changes, normal functional stability, no joint stiffness.Due to cartilage bruising or chronic synovitis of the joint.Stowed FingerHyperextension of digit at PIP joint, leading to dislocation and small volar fx.Claw Hand DeformityDue to imbalance of intrinsic Vs extrinsic hand muscles.Associated with an ulnar nerve palsy (upper) and combined median and ulnar nerve palsy (lower).Hyperextension of MCP with flexion of DIP & PIP.Dupuytren's ContractureAsymptomatic flexion deformity of 4th & 5th digits.May be unilateral or bilateral. Most commonly the right ring finger.Often can palpate cord-like bands & nodules in the palmar fascia. Skin may adhere to the area.Gamekeeper's (Skier's) ThumbHyperabduction rupture of the ulnar collateral ligament (UCL), which attaches the ulnar proximal phalanx of the thumb and originates from the thumb metacarpal head, crossing the MCP joint.Lateral Epicondylitis (Tennis Elbow)4X more common than medial.Lateral extensors, 10% include medial side.Medial Epicondylitis (Suitcase elbow, Golfer's elbow)Due to forceful wrist flexion and pronation.Serving in tennis, heavy balls/ racquet, undersized grip, spin, too much string tension.Pitcher's ElbowLittle League ElbowMedial pain from external rotational force stretching the ligaments holding the bones.Pronator Teres SyndromeCompression of median nerve at the elbow at Ligament of Struthers, biceps aponeurosis, pronator teres muscle, FDS muscle. Insidious onset of pain in anterior proximal forearm, paresthesias in volar forearm and radial 3-/2 digits.Nursemaids ElbowDue to subluxation of the radial head. Commonly seen in child <5yr, it is a result of pulling the child up by the wrist. Presents with elbow slightly flexed and arm pronated and hanging at the side.